Most sensitive test for sanguinarine is
1. Paper chromatography
2. FeC13
3. HCl
4. Nitric Acid

Correct answer: 1. Paper chromatography